A 40 year old male patient complains of difficulty in breathing. Patient gives history of multiple allergies to food and dust. 
Which immunoglobulins are elevated in this patient?
1. IgA
2. IgM
3. IgG
4. IgE

Correct answer: 4. IgE

Explanation: IgE is a single Y-shaped monomer. lt is normally present in minute concentration in blood. IgE levels are elevated in  individuals with  allergies as it is associated with the body's allergic responses. The IgE molecules tightly bind with mast cells which release histamine and cause allergy.
Satyanarayana- Biochemistry, 3rd edition, pg-189